Xray showing air column between soft tissue mass and posterior wall of nasopharynx is suggestive of -
1. Ethmoidal polyp
2. Antrochoanal polyp
3. Nasalmyiasis
4. None of the above

Correct answer: 2. Antrochoanal polyp

Explanation: Ans. is 'b' i.e., Antrochoanal polyp o On xray.antrochoanal polyp appears as a soft tissue density and shows a column of air between the soft tissue mass and posterior wall of nasopharynx.